Which of the following local anaesthetic is safer in surface and infiltrating anaesthesia?
1. Procaine
2. Cocaine
3. Lignocaine
4. Amethocaine

Correct answer: 3. Lignocaine

Explanation: Lignocaine and prilocaine are considered as safe local anaesthetic and can be used for both topical and infiltration (local nerve blocks) anaesthesia.